Placement of double lumen tube for lung surgery is best confirmed by:
1. EtCO2
2. Airway pressure measurement
3. Clinically by auscultation
4. Bronchoscopy

Correct answer: 4. Bronchoscopy

Explanation: D i.e. Bronchoscopy During thoracic surgery there may be a need for one lung to be deflated offering surgeon easier and better access. This is achieved by double lumen endotracheal tubes that allows anesthetist to selectively deflate one lung while maintaining standard ventilation ti of other. The position of the tube should be checked by auscultation immediately after intubation but the confirmation of correct placement of the tube should be done by flexible fiberoptic bronchoscopyQ EtCO2 (Persistent detection of CO2 by capnography) is best confirmation of tracheal placement endotracheal tube. Capnography can detect whether the tube is in trachea or oesophagus but cannot differentiate between tracheal intubation /endobronchial intubation.